Intra epithelial bulla is seen in –
1. Pemphigus
2. Pemphigoid
3. Dermatitis herpetiformis
4. Light eruption

Correct answer: 1. Pemphigus

Explanation: Pemphigus vulgaris causes intraepidermal bullae.